The sensation of creeping bugs over the body is a feature of which of the following poison?
1. Cocaine
2. Diazepam
3. Barbiturates
4. Brown sugar

Correct answer: 1. Cocaine

Explanation: Magnan's symptom or cocaine bugs is a characteristic feature of cocaine poisoning. In this patient's feels as if grains of sand are lying under the skin or small insects (cocaine bugs) are creeping on the skin (formication) giving rise to itching sensation, with resultant excoriation leading to irregular scratches and ulcers. Ref: Essentials of Forensic Medicine and Toxicology By Dr K S Narayan Reddy, 27th Edition, Pages 535-6